B/L hilar lymphadenopathy, along with non caseating granulomas is a characteristic feature of-
1. Sarcoidosis
2. Scleroderma
3. SLE
4. Stein-leventhal syndrome

Correct answer: 1. Sarcoidosis